Topical mitomycin-C is used in
1. Sturge-Weber syndrome
2. Laryngotracheal stenosis
3. Endoscopic angiofibroma
4. Skull base osteomyelitis

Correct answer: 2. Laryngotracheal stenosis

Explanation: Mitomycin is an anti-tumor antibiotic with alkylating agent like property. It is used in superficial cancer of urinary bladder. The drug has radiomimetic effects, and also sensitizes hypoxic tumor cells to the effects of hypoxia. Application of topical mitomycin C after endoscopic dilation of laryngotracheal stenosis reduces the rate of restenosis.